A 30 year old lady do sudden onset breathlessness, anxiety, palpitation & feeling of impending doom. Physical examination is normal. What is the diagnosis
1. Panic attack
2. Anxiety disorder
3. Conversion disorder
4. Acute psychosis

Correct answer: 1. Panic attack

Explanation: Panic attack DSM-IV Criteria for a Panic Attack A panic attack is a period of intense fear or discomfort, developing abruptly and peaking within 10 minutes, and requiring at least four of the following :-Chest pain or discomfortChills or hot .fushesDerealization (feeling of unreality) or depersonalization (being detached from oneself)Fear of losing controlFeeling of chokingNausea or abdominal distressPalpitations or tachycardiadegParesthesiasSensations of shortness of breathdeg or smotheringSense of impending doomdeg.SweatingTrembling or shaking